Radiosensitising substances include:
1. Oxygen
2. SR 250 8
3. Metronidazole
4. All of the above

Correct answer: 4. All of the above

Explanation: Ans. All of the above